National rural health mission is started by prime minister in:
1. 2003
2. 2004
3. 2005
4. 2006

Correct answer: 3. 2005

Explanation: Ans. C: 2005 The National Rural Health Mission was launched by the Hon'ble Prime Minister on 5th April 2005, to provide accessible, affordable and accountable quality health services even to the poorest households in the remotest rural regions. The thrust of the Mission was on establishing a fully functional, community owned, decentralized health delivery system with inter sectoral convergence at all levels, to ensure simultaneous action on a wide range of determinants of health like water, sanitation, education, nutrition, social and gender equality.